Adson's test is for determining vascular compression. It is useful in -
1. Peripheral vascular disease
2. Varicose veins
3. Cervical rib
4. AV fistula

Correct answer: 3. Cervical rib

Explanation: Ans. (c) Cervical ribRef: Short cases in Surgery, RajamahendranThe tests to identify the compression of the Subclavian artery by Cervical Rib are:* Roos test* Adson's test* Halstead testAllen's test is done to look for patency of Palmar arches.